Indications for emergency thoracotomy are all of the following except
1. Major tracheobronchial injuries
2. Cardiac tamponade
3. Penetrating injuries to anterior chest
4. Tension Pneumothorax

Correct answer: 4. Tension Pneumothorax

Explanation: Answer- D. Tension PneumothoraxEmergency thoracotomy is indicated after chest trauma in following conditions :Cardiac arrest (resuscitative thoractomy)Massive hemoththorax (>1500 mL of blood through the chest tube acutely or > 200-300 ml/hr after initial drainage.Penetrating injuries of the anterior aspect of the chest with cardiac tamponade.Large open wounds of the thoracic cage.Major thoracic vascular injuries in the presence of hemodynamic instability